5-hydroxyindoleacetate is a catabolic product of
1. Histidine
2. Tyrosine
3. Phenylalanine
4. Tryptophan

Correct answer: 4. Tryptophan

Explanation: 5-hydroxyindoleacetate (5-HIAA) is a catabolic product of serotonin, which is derived from tryptophan.